Pulpal infection in primary mandibular posterior teeth is
first manifested on a radiograph in the area?
1. Of bifurcation
2. At the apex of the root
3. Around the permanent tooth bud
4. Near the crest of alveolar bone

Correct answer: 1. Of bifurcation